Child with kidney transplant developed lympho-proliferative cancer. This is due to which viral infection -
1. CMV
2. Varicella
3. HPV
4. EBV

Correct answer: 4. EBV